40-year-old male presents with fever and abdominal pain and diagnosed with HIV and TB. How will you give treatment?
1. ATT and AIDS treatment simultaneously
2. First ATT and then A
3. ATT only
4. First A and then ATT

Correct answer: 2. First ATT and then A

Explanation: If a patient is diagnosed with HIV & TB, treatment for TB should be given first, to decrease bacterial load in the body & decrease chances of immune reconstitution inflammatory syndrome. Then, treatment of HIV should be given.